Internal podalic version was done for transverse lie, which of these is a possible complication ?
1. Uterine rupture
2. Cervical laceration
3. Uterine inertia
4. Vaginal laceration

Correct answer: 1. Uterine rupture

Explanation: Internal podalic version Complications :- Shock Premature separation of the placenta Rupture uterus Postpartum haemorrhage Puerperal sepsis